Which of the following liver mets appear hypoechoic on USG?
1. Ca. Colon
2. Ca. Breast
3. Ca. Bladder
4. Mucinous adenocarcinoma

Correct answer: 2. Ca. Breast

Explanation: Hypoechoic lesions can be secondary to lymphoma, melanoma, breast and lung carcinoma, and less commonly, related to gastrointestinal malignant tumors. Ref: Liver Malignancies: Diagnostic and Interventional Radiology By Carlo Baolozzi, Riccardo Lencioni, 1999, Page 180